8% SnF2 contains how much % of flouride
1. 1%
2. 2%
3. 3%
4. 4%

Correct answer: 2. 2%